Which of the following is a disadvantage of combination clasp
1. Involves more steps in fabrication
2. Can be easily distorted while adjustment
3. Can distort during function
4. All of the above

Correct answer: 4. All of the above

Explanation: The combination clasp has several disadvantages: 
(1) It involves extra steps in fabrication, particularly when high fusing chromium alloys are used.
(2) It may be distorted by careless handling on the part of the patient. 
(3) Because it is bent by hand, it may be less accurately adapted to the tooth and therefore, provide less stabilization in the suprabulge portion.
(4) It may distort with function and not engage the tooth.